All of the following are features of botulism except:
1. Diplopia
2. Dysphagia
3. Diarrhoea
4. Dysarthria

Correct answer: 3. Diarrhoea

Explanation: Botulinum toxin blocks the release of acetylcholine at the neuromuscular junction and parasympathetic postganglionic terminals Dysphagia, dysarthria, diplopia, dilated pupils, dry mouth followed by symmetric descending paralysis are the manifestations of botulism. Constipation is seen instead of diarrhea. No fever or sensory abnormalities are seen. Deep tendon reflexes may be normal or decreased. Gag reflex is suppressed. Untreated death occurs due to respiratory paralysis.